Most common cause of abdominal aortic aneurysm is
1. Atherosclerosis
2. Syphilis
3. Marfan's syndrome
4. Ehlers-Danlos syndrome

Correct answer: 1. Atherosclerosis

Explanation: (A) Atherosclerosis # ABDOMINAL AORTIC ANEURYSMS:> Abdominal aortic aneurysms occur more frequently in males than in females, and the incidence increases with age.> Abdominal aortic aneurysms may affect 1 to 2% of men older than 50 years.> At least 90% of all abdominal aortic aneurysms > 4.0 cm are affected by atherosclerosis, and most of these aneurysms are below the level of the renal arteries.> Prognosis is related to both the size of the aneurysm and the severity of coexisting coronary artery and cerebrovascular disease.> The risk of rupture increases with the size of the aneurysm.